Development of the urinary bladder is from?
1. Urogenital Sinus
2. Paramesonephric Duct
3. Metanephric Blastema
4. Proctodaeum

Correct answer: 1. Urogenital Sinus

Explanation: Ans. is 'a' i.e., Urogenital SinusThe urinary bladder (except trigone) is derived from vesicourethral canal, cranial part of urogenital sinus (endodermal).Trigone is derived from absorbed part of Wolffian duct/mesonephric duct (mesodermal).